Cervical was are seen with which HPV ?
1. 11,13
2. 6, 11
3. 17,18
4. 5, 8

Correct answer: 2. 6, 11

Explanation: Ans. is 'b' i.e., 6, 11